A child who is born to an unmarried women:
1. Posthumous child
2. Illegitimate child
3. Suppositious child
4. Fictitious child

Correct answer: 2. Illegitimate child

Explanation: Ans. (b) Illegitimate childRef: The Essentials ofFSM by K.S. Narayan Reddy 31st ed. / 369-70; Principles of Forensic Medicine and Toxicology By Rajesh Bardale / 364* A child is born to a couple who are not married legally is considered to be illegitimate or a bastard.Conditions for being illegitimate or bastard if:* The child is born out of wedlock OR* Birth of child is not within a competent period after the cessation of the relationship of a man and wife OR* Born within wedlock when procreation by the husband is not possible because of congenital or acquired malformation or disease.